Rifle Classification is for :
1. Acute kidney injury
2. Chronic kidney disease
3. Diabetic Nephropathy
4. Amyloidsis

Correct answer: 1. Acute kidney injury

Explanation: RIFLE - AKI.
KDIGO Classification - CKD.